Best quality proteins are found in highest quantities in –
1. Rice
2. Wheat
3. Ragi
4. Bajra

Correct answer: 1. Rice

Explanation: Rice proteins are richer in lysine than other cereal proteins, and for this reason, rice protein is considered to be a better quality.